Which of the following reaction is an example of substrate level phosphorylation occurring in TCA cycle?
1. Isocitrate to oxalosuccinate
2. Alpha keto glutarate to succinyl CoA
3. Succinyl CoA to succinate
4. Succinate to fumarate

Correct answer: 3. Succinyl CoA to succinate

Explanation: In Krebs cycle, succinyl CoA is converted to succinate by the enzyme succinate thiokinase. This is the only example of substrate level phosphorylation in the citric acid cycle. Substrate level phosphorylation is the biochemical process whereby ATP is produced from ADP through direct transfer of a high energy phosphoryl group from a reaction substrate to ADP. In glycolysis, substrate level phosphorylation occur during two reactions: Conversion of 1,3 BPG to 3 phosphoglycerate by phosphoglyerate kinase Conversion of phosphoenol pyruvate to pyruvate by pyruvate kinase. Ref: Bender D.A., Mayes P.A. (2011). Chapter 17. The Citric Acid Cycle: The Catabolism of Acetyl-CoA. In D.A. Bender, K.M. Botham, P.A. Weil, P.J. Kennelly, R.K. Murray, V.W. Rodwell (Eds), Harper's Illustrated Biochemistry, 29e.